Route of administration of vancomycin in pseudo- membranous colitis is :
1. i.m.
2. oral
3. i.v.
4. s.c.

Correct answer: 2. oral